In macerated fetus, the organ used for DNA profiling is
1. Lungs
2. Spleen
3. Heart
4. Skeletal muscle

Correct answer: 1. Lungs

Explanation: If fetus is macerated, fetal lungs and brain tissues are more suitable for DNA typing Normal fetuses In older fetus, sample consists of fetal blood obtained by heart puncture. In young fetus, analysis of chorionic villi may provide the fetal pattern. Other tissue suitable for DNA analysis is - quadriceps muscle or rib